Which of the following agents is likely to cause cerebral calcification and hydrocephalus in a newborn whose mother has history of taking spiramycin but was not complaint with therapy
1. Rubella
2. Toxoplasmosis
3. CMV
4. Herpes

Correct answer: 2. Toxoplasmosis

Explanation: The mother was suffering from toxoplasmosis. The classical triad of congenitsl toxoplasmosis includes intracranial calcifications, hydrocephalus and chorioretinitis. Infants asymptomatic at birth may present later with intellectual disability and deafness. Spiramycin is a macrolide antibiotic and antiparasitic- used to treat toxoplasmosis Reference : page 272 Ghai Essential Pediatrics 8th edition